CNS - phegocytic action with
1. Microglia
2. Oligodendrocytes
3. Astrocytes
4. Schwann cells

Correct answer: 1. Microglia

Explanation: A. i.e. (Microglia) (63 - Ganong 22nd) (700-K-Sembolingum 4th) (80- Ganong 23rd)Central Neuroglial cellsFunctionsASTROCYTESi. Twist around the nerve cells and form the supporting network in brain and spinal cordii. **Form the BBB and thereby regulate the entry of substances from blood in to brain tissueiii. Provide Ca++ and K+ and regulate neurotransmitter level in synapses*MICROGLIAi. Engulf and destroy the micro organisms and cellular debris by means of phagocytosisii. Migrate to the injured or infected area of CNS and act as miniature macrophagesOLIGODENDROCYTES1. Forming myelin sheath**2. Provide support to the CNS neuron by forming a semi-stiff connective tissue between the neuronsPeripheral neuroglial cells (PNS)FunctionsSCHWANN CELLS1. Provide myelination (Insulation)* around the nerve fibres in PNS2. Important role in nerve** regeneration3. Remove cellular debris during regeneration by their phagocytic activitySATELLITE CELLS1. Provide physical support to the PNS neurons2. Help in regulation of chemical environment of ECF around the PNS neurons* Injection of antiserum against nerve growth factor in newborn animals leads to almost total destruction of sympathetic ganglion (Immuno sympathectomy)